What Vitamin A supplementation in a 10 month old child with Xeropthalmia is?
1. One dose of 1 lakh units
2. Two doses of 1 lakh units
3. Three dose of 1 lakh units
4. Two doses of 2 lakh units

Correct answer: 3. Three dose of 1 lakh units

Explanation: Vitamin A therapy: Treatment schedules apply to all stages of active xerophthalmia viz. XN, X1A, X1B, X2, X3A and X3B. Oral administration is the recommended method of treatment. However, in the presence of repeated vomiting and severe diarrhoea, intramuscular injections of water-miscible preparation should be preferred. In children less than 1 year of age with Xerophthalmia, 3 doses of 1 lakh IU of vitamin A should be given. In children more than 1 year of age, 3 doses of 2 lakh IU of vitamin A is given.